One gram of smokeless gunpowder produces:
1. 3000-4000 cc of gas
2. 9000-10,000 cc of gas
3. 12,000-13,000 cc of gas
4. 15,000-16,000 cc of gas

Correct answer: 3. 12,000-13,000 cc of gas

Explanation: Ans. 12,000-13,000 cc of gas